In which part of body a lesser impact causes maximum bruise?
1. Face
2. Sole
3. Back
4. Palm

Correct answer: 1. Face

Explanation: the synopsis for forensic medicine& ttoxicology - Dr k.s .narayan reddy, 28 edition . Pg no . 106 If the part is vascular & loose such as face ,vulva ,scrotum ,a slight degree of violence may cause large bruise . Bruising is more marked on tissue overlying bone which acts as anvil ,with the skin between the bone and inflicting force . Chronic alcoholic bruise easily . Abdomen ,back ,scalp ,palms & soles ,a blow of moderate violence produces comparatively small bruise due to firm fibrous tissue & covered by thick dermis .